Type I membranoproliferative glomerulonephritis is common associated with all except
1. SLE
2. Persistent hepatitis c infection
3. Partial lipodystrophy
4. Neoplastic diseases

Correct answer: 3. Partial lipodystrophy

Explanation: Secondary MPGN(invariably type 1) is more common in adults and arises in following; Alpha 1 anti trypsin deficiency Malignant diseases particularly CLL which have formation of autoantibodies Chronic immune complex disorder such as SLE, hepatitis b infection hepatitis c infection . Refer robbins 9/e p922